Mechanism of Acyclovir resistance -
1. Thymidine kinase
2. DNA-dependent RNA polymerase
3. | spectrum
4. | Side effects

Correct answer: 1. Thymidine kinase

Explanation: Ans. is 'a' i.e., Thymidine kinase Both HSV and VZV have been found to develop resistance to acyclovir during therapy the former primarily due to mutants deficient in thymidine kinase activity and the latter primarily by change in specificity of virus directed enzyme so that its affinity for acyclovir is decreased.